Nephrotic syndrome is the hallmark of the following primary kidney diseases, except:
1. Membranous glomerulopathy
2. IgA nephropathy (Bergers disease)
3. Minimal change disease
4. Focal segmental glomerulosclerosis

Correct answer: 2. IgA nephropathy (Bergers disease)

Explanation: Nephrotic syndrome is an unusual presentation ground glass appearance of lungs, pleural effusion are of IgA nephropathy. Patients mainly present with hematuria, important features. after pharyngeal or gastrointestinal infection, vaccination or Pulmonary fthrosis leads to restrictive ventilatory defect and strenuous exercise. The maln diagnostic feature is mesangial chronic hypoxia leads to clubbing, deposition of IgA. The following six diseases account for more than 90% eases of nephritic syndrome in adults - minimal change disease, focal and segmental glomerulosclerosis, membranous glomerulonephritis, MPGN, diabetic nephropathy and amyloidosis.